Hemodialysis can be performed for long periods from the same site due to
1. Arteriovenous fistula reduces bacterial contamination of site
2. Arteriovenous fistula results in arterialization of vein
3. Arteriovenous fistula reduces chances of graft failure
4. Aretiovenous fistula facilitates small bore needles for high flow rates

Correct answer: 2. Arteriovenous fistula results in arterialization of vein

Explanation: Ans. is 'b' i.e., Arteriovenous fistula results in aerialization of vein The tstu/a graft, or catheter hemodialvsis is often referred to as a dialysis access. A native fistula created by the anastomosis of an artery to a vein (e.g. the Bresica-Cimino fistula, in which the cephalic vein is anastomosed end-to-side to the radial artery) results in aerialization of the vein. This facilitates its subsequent use in the placement of large needles (typically 15 Gauge) to access the circulation. Fistulas have the highest long-term patency rate of all dialysis access options. The most important complication of arteriovenous grafts is thrombosis of the graft and graft failure, due principally to intimal hyperplasia at the anastomosis between the graft and recipient vein. Many patients undergo placement of an arteriovenous graft (i.e., the interposition of prosthetic material, usually polytetrafluoroethylene, between an artery and a vein) or a tunneled dialysis catheter.